A man was found with suicidal gunshot on right temple with the gun in his right hand. The skull was burst open. There was charring and cherry red coloration in the track inside. Range of the shot is:
1. Contact shot
2. Close shot at a distance of 1 feet
3. Shot within range of 2 feet
4. Shot within range of 3 feet

Correct answer: 1. Contact shot

Explanation: Ans. Contact shot